A subcentre in a hilly area caters to a population of:
1. 1000
2. 2000
3. 3000
4. 5000

Correct answer: 3. 3000

Explanation: Subcentres are established on the following basis: One subcentre for every 5000 population is general. One subcentre for every 3000 population in hilly, tribal and backward areas. Ref:Parks Textbook of Preventive and Social Medicine By K.Park, 18th Edition, Page 696